Interval between primary and secondary case is called as?
1. Generation time
2. Serial interval
3. Incubation period
4. Lead time

Correct answer: 2. Serial interval

Explanation: The serial interval is generally estimated from the interval between clinical onsets, in which case it is the 'clinical onset serial interval' when these quantities are observable. It could, in principle, be estimated by the time interval between infection and subsequent transmission. Ref: 25th edition, Park's Textbook of Preventive and Social Medicine, Page no. 108